Maximum number of enzymes of krebs cycle are found in -
1. Mitochondrial matrix
2. Intermembrane space
3. Cytosol
4. Ribosome

Correct answer: 1. Mitochondrial matrix

Explanation: Ans. is 'a' i.e., Mitochondrial matrix* Kreb's cycle or citric acid cycle happens in mitochondria. All enzymes of citric acid cycle are present in mitochondrial matrix.